Antileprotic drug also used in lepra reaction is:
1. Rifampcin
2. Dapsone
3. Ciprofloxacin
4. Clofazimine

Correct answer: 4. Clofazimine

Explanation: D i.e. Clofazamine